Most common organism causing UTI:
1. E. coli
2. Streptococci
3. Klebsiella
4. Staphylococci saprophyticus

Correct answer: 1. E. coli

Explanation: Ans. (a) E. coli "E. coli cause 80% of acute UTI in patients with out catheterization." Strains of E. coli causing UTI are called extraintestinal pathogenic strains of E. coli. Remember:- E. coli is MC cause of catheter associate UTI too. UTI is MC nosocomial infection. E. coli is MC cause of neonatal meningitis. E. coli is MC cause of intraabdominal abscess. Other gram negative rods causing UTI are: Proteus, klebsiella, serratia, pseudomonas, enterobacter.